Which MRI sequence is called as Tractography?
1. DWI
2. SWI
3. DTI
4. FLAIR

Correct answer: 3. DTI

Explanation: Tractography: Is a 3D modelling technique used to visually represent nerve tracts using data collected by Diffusion Tensor Imaging. It uses special techniques of magnetic resonance imaging (MRI) and computer-based diffusion tensor imaging.